All of the following are symptoms of VlPomas except
1. Watery Diarrhoea
2. Hypokalemia
3. Flushing
4. Thromboembolism

Correct answer: 4. Thromboembolism

Explanation: Answer- D. ThromboembolismVIPomas are endocrine tumors that secrete excessive amounts of vasoactive intestinal peptide (VIP).Excessive VIP causes a distinct syndrome characterized by large-volume diarrhea, hypokalemia, and dehydration.This syndrome also is called Verner-Morrison syndrome, pancreatic cholera and WDHA syndrome for watery diarrhea, hypokalemia, and achlorhydria.